Blood brain barrier is crossed by: a) Dopamine b) Propranolol c) Glycopyrrolate d) Physostigmine e) Streptomycin
1. abcd
2. bcde
3. ad
4. bd

Correct answer: 4. bd